Root end preparation in teeth with short root is called as:
1. Matsura preparation.
2. Trephination
3. Window preparation.
4. Cone shaped preparation.

Correct answer: 1. Matsura preparation.

Explanation: In teeth with short root, vertical preparation is done fir root end, which is through nad through from buccal to lingula side, this is known as matsura preparation.